In pregnancy with increased MSAFP which of the following should be done:
1. Repeat measurement of MSAFP at later date
2. USG
3. Amniocentesis
4. Termination of pregnancy

Correct answer: 2. USG

Explanation: MSAFP is a screening test. If it is raised, it should be followed by a diagnostic test, i.e. either USG or amniocentesis as discussed earlier, these days for diagnosis of NTD, USG has replaced amniocentesis, hence answer is USG.